Ehrlich's test is done to detect:
1. Urinary amylase
2. Urinary cystine
3. Abnormal porphyrin
4. Urobilinogen

Correct answer: 4. Urobilinogen

Explanation: D Harper, 26th ed, p. 283 & 25th ed, p. 370